Best imaging study for the earliest diagnosis of cerebral infarct-
1. FLAIR MRI
2. Non-contrast CT
3. CECT
4. Diffusion-weighted MRI

Correct answer: 4. Diffusion-weighted MRI

Explanation: Diffusion-weighted MRIDiffusion-weighted MRI detects cytotoxic edema in just a few hours of infarction.